Loss of lacrimation occurs due to injury of
1. Nasocilliary nerve
2. Greater petrosal nerve
3. Anterior ethmoidal nerve
4. Supraorbital nerve

Correct answer: 2. Greater petrosal nerve

Explanation: Parasympathetic secretomotor nerve fibres destined for the lacrimal gland arise from the lacrimal nucleus of the facial nerve. They travel via the great petrosal nerve to reach the lacrimal gland. Consequently injuries of the greater petrosal nerve can cause loss of lacrimation.